Non progressive contraction of Esophagus are:
1. Primary
2. Secondary
3. Tertiary
4. Quaternary

Correct answer: 3. Tertiary

Explanation: • Tertiary contractions are simultaneous, non progressive, non peristaltic waves that can occur throughout the esophagus
• Tertiary contractions represent uncoordinated contractions of the smooth muscles that are responsible for the ‘Cork Screw’ appearance of esophageal spasm on Barium swallow
• Tertiary contractions do not have a physiological function and may be observed in the elderly and in patients with esophageal motility disorders